Most common type of cervical cancer:
1. Squamous cell CA
2. Small cell CA
3. Adeno CA
4. Adenoma

Correct answer: 1. Squamous cell CA

Explanation: Ans. (a) Squamous cell CARef. Shaws 15thed., pg: 964* The two most common histologic subtypes of cervical cancer are squamous cell and adenocarcinoma.* Of these, squamous cell tumors predominate, comprise 85 percent of all cervical cancers, and arise from the ectocervix* Adenocarcinomas comprise 10 to 15 percent of cervical cancers and arise from the endocervical mucus- producing glandular cells.